Acrodermatitis enteropathica is a classical presentation due to deficiency of
1. Vitamin K
2. Zinc
3. Copper
4. Selenium

Correct answer: 2. Zinc